Information obtained by lateral plate X-ray pelvimetry are all except :
1. Sacral curve
2. True conjugate
3. Bispinous diameter
4. Inclination of the pelvis

Correct answer: 3. Bispinous diameter

Explanation: Bispinous diameter can be measured by anteroposterior view and not on lateral view of X-ray pelvimetry. X-ray pelvimetry is useful in cases with fractured pelvis and for the important diameters which are inaccessible to clinical examination. Ref: Dutta Obs 9e pg 329.